Which of the following viruses is primarily transmitted by the fecal-oral route?
1. St. Louis encephalitis virus
2. Colorado tick fever virus
3. Coxsackievirus
4. Yellow fever virus

Correct answer: 3. Coxsackievirus

Explanation: St. Louis encephalitis virus is spread by mosquitoes and causes a severe encephalitis with a near 10% fatality rate. Colorado tick fever, spread by the wood tick, causes fever, headache, retro-orbital pain, and severe myalgia. Fever and jaundice characterize yellow fever, a life-threatening disease spread by mosquitoes. Following fever, headache, myalgias, and photophobia, the symptoms progress to the liver, kidney, and heart. Mortality rate is high. Dengue fever shares the same mosquito vector as yellow fever. Classic dengue fever (breakbone fever) includes flu-like symptoms. Severe muscle and joint (breakbone) pain occurs. Coxsackievirus is spread by the fecal-oral route.